Mutton fat keratic precipitates are seen in
1. Granuloma uveitis
2. Non granulomatous uveitis
3. Choroiditis
4. Posterior staphyloma

Correct answer: 1. Granuloma uveitis

Explanation: Ans. (a) Granuloma uveitis